Neostigmine is not able to cross blood-brain barrier because of its:
1. Primary structure
2. Secondary structrure
3. Tertiary structure
4. Quarternary structure

Correct answer: 4. Quarternary structure

Explanation: Quarternary ammonium compounds are water soluble and thus cannot cross the blood-brain barrier. Neostigmine is a quarternary derivative whereas physostigmine is a tertiary amine.